All of the following drugs are used in bronchial asthma except:-
1. Salbutamol
2. Morphine
3. Theophylline
4. Steroids

Correct answer: 2. Morphine

Explanation: Morphine release histamine and the resulting bronchospasm may worsen asthma. Therefore, morphine is contra-indicated in bronchial asthma. DRUGS FOR BRONCHIAL ASTHMA 1. BRONCHODILATORS a. BETA2 AGONISTS i. SHORT ACTING 1. SALBUTAMOL 2. TERBUTALINE ii. LONG ACTING 1. SALMETEROL 2. FORMOTEROL b. ANTICHOLINERGICS i. IPRATROPIUM ii. TIOTROPIUM c. METHYLXANTHINES i. THEOPHYLLINE ii. AMINOPHYLLINE 2. DRUGS AFFECTING LEUKOTRIENES a. PHOSPHOLIPASE A2 INHIBITORS (CORTICOSTEROIDS) i. INHALATIONAL 1. BECLOMETHASONE 2. BUDESONIDE 3. FLUTICASONE 4. FLUNISOLIDE 5. MOMETASONE 6. TRIAMCINOLONE 7. CICLESONIDE ii. ORAL AND INTRAVENOUS 1. PREDNISOLONE 2. HYDROCORTISONE b. LIPOXYGENEASE INHIBITORS i. ZILEUOTON c. LT RECEPTOR ANTAGONISTS i. ZAFIRLUKAST ii. MONTELUKAST 3. MAST CELL STABILIZERS a. NEDOCROMIL b. CROMOGLYCATE c. KETOTIFEN 4. MONOCLONAL ANTIBODIES a. ANTI-IgE ANTIBODY i. OMALIZUMAB b. ANTI-IL-5 ANTIBODIES i. MEPOLIZUMAB ii. RESLIZUMAB